The heavy metal poisonng from mercury affects which part of the renal tubule?
1. PCT
2. DCT
3. CT
4. Loop of Henle

Correct answer: 1. PCT

Explanation: Mercury poisoning leads to membranous nephropathy which primarily causes necrosis of proximal convoluted tubular epithelium. Inorganic mercury affects the proximal tubules and cause vesiculation and exfoliation of brush border membrane , followed by calcium influx and cell death. Ref: The Essentials of Forensic Medicine And Toxicology by Dr. K. S. Narayan Reddy 27th edition; Pages 476 - 478; Heptinstall's Pathology Of The Kidney, Volume 1 By J. Charles Jennette page 1122; Robbins textbook of Basic Pathology 7th edition; pages 476 - 478.